Withdrawl syndrome is associated with:
1. Alcohol
2. Methadone
3. Morphine
4. All of the above

Correct answer: 4. All of the above

Explanation: Ans. D: All of the above Drugs producing physical dependence: Alcohol Opioids, including morphine, methadone Benzodiazepine Amphetamines and cocaine produces little/no physical dependence.